Acridine orange is a fluorescent dye used to bind -
1. DNA and RNA
2. Protein
3. Lipid
4. Carbohydrates

Correct answer: 1. DNA and RNA

Explanation: Chromatin condensation is seen by hematoxylin and eosin, Feulgen and acridine orange staining Ref: HARSH MOHAN TEXTBOOK OF PATHOLOGY 6th Ed. Pg no:48